Which of the following are stress bearing areas?
1. Buccal shelf area, incisive papilla and palatine rugae
2. Slopes of residual ridge, palatine rugae and midpalatine raphe
3. incisive papilla, slope of the residual ridge and crest of the residual ridge
4. slope of residual ridge, buccal shelf area and hard palate

Correct answer: 4. slope of residual ridge, buccal shelf area and hard palate